Hemagglutinin (Anti A and Anti B) are which type of antibodies -
1. Ig G
2. Ig M
3. Ig A
4. IgE

Correct answer: 2. Ig M

Explanation: IgM is a heavy molecule. - IgM molecules are polymers of five four-peptide subunits. the earliest immunoglobulin synthesized by the fetus. - the isohemagglutinins ( anti- A, anti - B ) and many other natural antibodies to microorganisms are usually IgM. ReReference:nathanarayan & paniker's 9th edition, pg no: 98